Ground glass cells of Hadziyannis are seen in -
1. Bone
2. Liver
3. Thyroid
4. Prostate

Correct answer: 2. Liver